Abductors of larynx are:
1. Posterior cricoarytenoids
2. Transverse arytenoids
3. Cricothyroid
4. All of the above

Correct answer: 1. Posterior cricoarytenoids